Vitamin A intoxication causes injury to
1. Lysosomes
2. Mitochondria
3. Endoplasmic reticulum
4. Microtubules

Correct answer: 1. Lysosomes

Explanation: Hypervitaminosis A Common in arctic explorers who eat polar bear liver Organelle damaged in hypervitaminosis is Lysosomes Acute toxicity: Pseudotumor cerebri (headache, dizziness, vomiting, stupor, and blurred vision, symptoms that may be confused with a brain tumor) and exfoliative dermatitis. In the liver, hepatomegaly and hyperlipidemia Chronic toxicity: If intake of > 50,000 IU/day for > 3 months Weight loss, anorexia, nausea, vomiting, bony exostosis, bone and joint pain, decreased cognition, hepatomegaly progresses to cirrhosis In pregnancy, retinoids cause teratogenic effects. ref DM Vasudevan 8th ed page 457